In control of pertusis, the durg of choice for cases -
1. Erythromycin
2. Ciprofloxacin
3. Tetracycline
4. Penicillin

Correct answer: 1. Erythromycin

Explanation: control of pertussis:- CASES:- Early diagnosis,isolation and treatment. Disinfection of discharge from nose and throat. Erythromycin is probably the drug of choice. A dose of 30-50 mg/kg of body weight in 4 divided doses for 10 days. Possible alternatives are ampicillin,septran or tetracycline. Antibiotics effective when given during incubation period or in early catarrhal stage. CONTACTS:- Infants and children kept away from cases. Those known to have been in contact with whooping cough may be given prophylactic antibiotic(erythromycin / ampicillin) treatment for 10 days to prevent the infecting bacteria to become established. The best protection that can be given to infant is to administer a booster dose of DPT/DT to his siblings before he is born. ACTIVE IMMUNISATION administration of DPT 3 doses intramuscularly. Starting from 6 weeks with one month interval. PASSIVE IMMUNISATION hyperimmune globulin. {Reference: park's textbook of preventive and social medicine, 23rd edition, pg no.164}